All of the following drugs can be used for the prophylaxis of migraine except -
1. Propranolol
2. Sumatriptan
3. Amiitriptyline
4. Flunarizine

Correct answer: 2. Sumatriptan